True about V3 nerve is all except
1. Lingual nerve runs with chorda tympani
2. Auriculotemporal embrace middle meningeal artery
3. Otic ganglion is medial to nerve
4. Pure motor

Correct answer: 4. Pure motor

Explanation: D i.e. Pure motor